Pentostatin inhibits
1. Dihydrofolate reductose
2. Adenosine deaminase
3. Thymidylate synthase
4. Uridylate synthose

Correct answer: 2. Adenosine deaminase

Explanation: Pentostatin is a purine analogue that inhibits Adenosine deaminase. It is used in cases of Hairy cell leukemia (Doc: Uadiribine).